Instrument used in internal fixation of small bones as well as in Ilizarov's technique?
1. Bohler's stirrup
2. Kuntscher's nail
3. Steinmann's pin
4. Kirschner's wire

Correct answer: 4. Kirschner's wire

Explanation: Kirschner wires are sterile, sharp, smooth stainless steel pins, introduced in 1990 by Main kirschner. Diameter : 0.9 to 1.5 mm range. Uses of Kirschner wires: 1. Used in fixation of fractures of small bones and fractures in childrens 2. Used in Ilizarove method for fixation of the Ring. 3. Used in giving Tractions after fracture olecranon process. Kuntscher's nail: It is Kuntscher's clover leaf intra-medullary nail, also known as the K-nail. Use: fixation of femoral fractures. Steinmann pin is a stout straight steel rod of diameter ranging from 3-6 mm. Used for skeletal traction. Bohler's stirrup is used for holding Steinmann pin in skeletal traction.